Amide type of local anesthetic agents undergo bio transformation primarily in the
1. Kidney
2. Liver
3. Plasma
4. Excreted in unaltered form

Correct answer: 2. Liver